The most common pure germ cell cancer of the ovary is:
1. Choriocarcinoma
2. Dysgerminoma
3. Embryonal cell tumor
4. Malignant teratoma

Correct answer: 2. Dysgerminoma

Explanation: Ans. B. DysgerminomaDysgerminoma:a. It is the most common pure germ cell tumor of ovary.b. It corresponds to Seminoma.c. It is common under the age of 20.d. It is usually unilateral.e. It is neutral.f. It secrets placental alkaline phosphatase.g. It may be associated is hypoplasia or aplasia of part of genital tract.h. It is very radiosensitive.i. It is potentially malignant with malignancy rate of 30-50%.j. Endodermal sinus/yolk sac tumor is 2nd most common germ cell tumor.k. Embryonal cell tumor is rare.